Carcinoma cervix extends upto lateral pelvic wall. The stage would be :
1. Stage I
2. Stage II
3. Stage III
4. Stage IV

Correct answer: 3. Stage III

Explanation: Ans. is c i.e. Stage III